Fluid of choice for replacement in burn patients:
1. Dextrose 5%
2. Ringers lactate
3. Hypertonic saline
4. Fresh frozen plasma

Correct answer: 2. Ringers lactate

Explanation: Ans. B: Ringers lactate There are 3 types of fluid used for fluid resuscitation in burns patient The most common is Ringer's lactate/ Hartmann's solution; some centres use human albumin solution or fresh frozen plasma, and some centres use hypertonic saline